Aspirin triad is?
1. Churg-Strauss syndrome
2. Kartagener s syndrome
3. Sampter's syndrome
4. Young syndrome

Correct answer: 3. Sampter's syndrome

Explanation: ANSWER: (C) Sampter's syndromeREF: With textIn 1922 Widal et al. recognized the additional association of nasal polyposis with aspirin sensitivity and asthma. This became commonly known as "aspirin triad." Following studies by Samter and Beers in the late 1960s, aspirin triad was commonly referred to as Samter's triad. (Ref: Head & Neck Surgery--otolaryngology - Volume 1 by Byron J. Bailey, Jonas T. Johnson, Shawm D. Newlands 4th ed Page 396)"36% of the patients with aspirin intolerance may show polypi. Sampter's triad consists of nasal polypi, asthma and aspirin intolerance* (Ref: Dhingra 4th ed page 162)